Most important factor that affects the outcome of twin gestation is -
1. Lie of first twin
2. Lie of second twin
3. Chorionicity
4. Placental position

Correct answer: 3. Chorionicity

Explanation: Ans is 'c' i.e., Chorionicity * Twin pregnancy has increased risk of complications as compared to singleton pregnancy.* Chorionicity is the most important factor that affects the outcome in Twin gestation.* Monochorionic twins have more complications compared to dichorionic twins.* All complications and perinatal mortality are more frequent in monochorionic twins as compared to dichorionic.Overview of the Incidence of Twin Pregnancy Zygosity and Corresponding Twin-Specific ComplicationsType of TwinningTwinsTwin-Specific Complication (%)Fetal Growth RestrictionPreterm DeliveryPlacental Vascular AnastomosisPerinatal MortalityDizygotic (DC, DA)802540010-12Monozygotic 204050 15-18Diamnionic/dichorionic (DC, DA)6-73040018-20Diamnionic/ monochorionic (MC, DA)13-14 6010030-40Monoamnionic/ monochorionic (MC, MA)<14060-7080-10058-60Conjoined0.002-0.008-70-8010070-90